Which structure is outlined with contrast on a CT using intraperitoneal contrast material?
1. Ovary
2. Prostate
3. Rectum
4. Seminal Vesicles

Correct answer: 1. Ovary

Explanation: The ovary is entirely covered by a layer of peritoneum called the mesovarium. The mesovarium, along with the mesometrium and the mesosalpinx, creates the broad ligament. Because the ovary is completely encased in peritoneum, it would be outlined on a CT with intraperitoneal contrast material. The prostate, seminal vesicles and vagina are located below the rectovesical pouch or rectouterine/vesicouterine pouches. So, they are not associated with the peritoneal cavity and would not be seen on the CT scan. Although peritoneum drapes over the rectum, forming the rectovesical fold in males and the rectovaginal fold in females, the rectum would not be clearly outlined by the intraperitoneal contrast since it is not covered by peritoneum on all sides. Ref: Roper W., Abbuhl S. (2011). Chapter e299.2. Computed Tomography. In J.E. Tintinalli, J.S. Stapczynski, D.M. Cline, O.J. Ma, R.K. Cydulka, G.D. Meckler (Eds), Tintinalli's Emergency Medicine: A Comprehensive Study Guide, 7e.